'Wireloop' lesions in kidney are seen in
1. DM
2. SLE
3. PAN
4. Scleroderma

Correct answer: 2. SLE

Explanation: Ans. b (SLE) .(Ref. Robbins, Pathology, 6th/pg.221)SYSTEMIC LUPUS ERYTHEMATOSUS (SLE)# Connective tissue disorder associated with HLA B8 and DR3.# 'Onion skin' lesions in spleen occur.# 'Wire-loop' lesions in kidneys are seen.- Photosensitive erythematous butterfly rash on the face/discoid rash, lupus profundus, livido reticularis.- Transient, migratory or seronegative chronic arthritis.; Bony erosions- Lymphadenopathy, Splenomegaly, Alopecia- Pericarditis/myocarditis/Libmann Sack's verrrucous endocarditi- Pleurisy, ILD, fibrosing alveolitis, shrinking lung syndrome- Kerato-conjunctivitis sicca, episcleritis, retinal vasculitis, soft exudates- CNS features# Treatment; antimalarials, immunosupressants and steroids.# Congenital lupus erythematosus is characterized by- Complete heart block- Lupus erythematosus rash# Drug induced lupus- Procainamide, hydralazine, phenothiazines, OC pills, anticonvulsants implicated.- Anti-histones abs +- Absent anti dd DNA abs- Renal and CNS lesions.